Good clinical practice (GCP) seen in all except ?
1. Preclinical trials
2. Phase I trials
3. Phase II trials
4. Phase IV trials

Correct answer: 1. Preclinical trials

Explanation: Ans. is 'a' i.e., Preclinical trials Good clinical practice (GCP) guidelines are for clinical trials (Phase I, Phase II, Phase III and Phase IV). These guidelines (GCP) are laid down after completion of preclinical study. When a compound deserving trial in man is identified by animal studies (preclinical suties), the regulatory authorities are approched who on satisfaction issue an investigational new drug (IND) licence. Standards for the design, ethics, conduct, monitoring, auditing, recording and analyzing data and reporting of clinical trials have been laid down in the form of Good clinical Practice (GCP) guidelines by an International conference on Harmonization (ICH).